Cource of a disease process without any' intervention is the definition of -
1. Spectrum of disease
2. Epidemiology of disease
3. Natural history of disease
4. Iceberg phenonenon

Correct answer: 3. Natural history of disease

Explanation: Ans. is 'c' i.e., Natural history of disease o Natural history of disease signifies the way in which a disease evolves over time from the earliest stage of its prepathogenesis phase to its termination as recovery, disability or death, in the absence of treatment or prevention.